The active transport of 'Ca' is regulated by _______ which is synthesized in kidneys:
1. Cholecalciferol
2. Ergosterol
3. 25-OH cholecalciferol
4. 1, 25-di OH-Cholecalciferol

Correct answer: 4. 1, 25-di OH-Cholecalciferol

Explanation: Ans. D. 1, 25-di OH-Cholecalciferol1,25-DHCC is Vitamin D. It is synthesized in the body. The reactions takes place in the liver and kidney. Vitamin D is also known as a prohormone. It helps in the transport of calcium against the electrochemical gradient to promote mineralization of bones.